A 24 year old male complained of recurrent attacks of sore throat since 2 years. The total leucocyte count was 3000/ μl. A differential count revealed severe neutropenia. The diagnosis is
1. Subleukemicleukemia
2. Agranulocytosis
3. Infectious mononucleosis
4. Leukoerythroblasticanemia

Correct answer: 2. Agranulocytosis